Which of the following condition(s) are associated with raised ANCA except
1. Wegener's granulomatosis
2. Polyarteritis Nodosa
3. Microscopic Polyangitis
4. Churg-Strauss syndrome

Correct answer: 2. Polyarteritis Nodosa

Explanation: Many patients with vasculitis have circulating antibodies that react with neutrophil cytoplasmic antigens, so-called anti-neutrophil cytoplasmic antibodies (ANCAs). ANCAs are a heterogeneous group of autoantibodies directed against constituents (mainly enzymes) of neutrophil primary granules, monocyte lysosomes, and endothelial cells. ANCAs are very useful diagnostic markers; their titers generally mirror clinical severity, and a rise in titers after periods of quiescence is predictive of disease recurrence. PR3-ANCAs are associated with Wegener granulomatosis. MPO-ANCAs are associated with microscopic polyangiitis and Churg-Strauss syndrome. (Robbins Basic Pathology,9th edition,pg no.350)